The right phrenic nerve passes through which of the following openings in the diaphragm?
1. Aortic opening
2. Oesophageal opening
3. Vena caval opening
4. Directly pierces the diaphragm

Correct answer: 3. Vena caval opening

Explanation: Right phrenic nerve passes through inferior vena caval opening in the diaphragm which lies at the level of eighth thoracic vertebrae. And left phrenic nerve passes through the muscular part in front of the central tendon. Major apertures in the diaphragm:Vena caval opening in the T8 levelEsophageal hiatus at T10 levelAortic opening at T12 level. Thoracic duct and vena azygos pass through the opening along with the aorta.Minor apertures in the diaphragm:Superior epigastric vessels pass through gap between sternal origin and costal origin from seventh costal cartilage.Musculophrenic vessels pass through the interval between slips of origin of diaphragm from the seventh and eighth ribs.Eighth to eleventh intercostal nerves and vessels pass through interval between adjacent coastal origins from subsequent ribs.Subcostal nerves and vessels pass behind the lateral arcuate ligament.Sympathetic chains pass behind medial arcuate ligaments.Greater, lesser and least splanchnic nerves pierces the crus of the corresponding side.Hemiazygos vein pierces the left crus.Right phrenic nerve passes through the IVC opening and left phrenic nerve through the muscular part in front of the central tendon.